Allopurinol prevents conversion of -
1. Hypoxanthine to xanthine
2. Xanthine to hypoxanthine
3. Hypoxanthine to I.M.P
4. All

Correct answer: 1. Hypoxanthine to xanthine

Explanation: Ans. is 'a' i.e., Hypoxanthine to xanthine